Strength of association is given by
1. p-value
2. Coefficient of regression
3. Alpha value
4. Odds ratio

Correct answer: 4. Odds ratio

Explanation: Strength of association is given by Odds ratio or Cross product ratio in a Case control study. Odds ratio = ad/bc OR > 1 - Positive association, OR=1 - No association, OR < 1 - Inverse/ negative association. Chi-square test or t-test can only tell whether an association is statistically significant based on p-value, but doesn't give the magnitude of strength of association.